Eczema herpeticum seen with
1. HSV
2. EBV
3. CMV
4. VZV

Correct answer: 1. HSV

Explanation: A i.e. HSV